Which of the following medicines are associated with side effect of sexual dysfunction?
1. Fluoxetine
2. Mirtazapine
3. Bupropion
4. None

Correct answer: 1. Fluoxetine

Explanation: SSRIs like fluoxetine are associated with sexual side effects. SSRIs which causes Sexual Dysfunction : Fluoxetine Paroxetine Vortioxetine